A widely used drug that suppresses cellular immunity inhibits prostaglandin and leukotriene synthesis and increases the catabolism of IgG antibody is :
1. Cyclophosphamide
2. Prednisone
3. Cyclosporine
4. Infliximab

Correct answer: 2. Prednisone

Explanation: Glucocorticoids are powerful immunosuppressants. These inhibit both cellular and humoral immunity by:

Decreasing the recruitment of immune cells.
Catabolism of immunoglobulins.
Inhibiting the enzyme phospholipase A2 resulting in decreased production of PGs, LTs and TXs.